In amalgam alloy which acts as oxygen scavenger:
1. Cu
2. Zn
3. Pd
4. Ag

Correct answer: 2. Zn